The following modes of ventilation may be used for weaning off patients from mechanical ventilation, EXCEPT:
1. Controlled mechanical ventilation (CMV)
2. Synchronized intermittent mandatory ventilation (SIMV)
3. Pressure support ventilation (PSV)
4. Assist-control ventilation (ACV)

Correct answer: 1. Controlled mechanical ventilation (CMV)

Explanation: Controlled Mechanical Ventilation (CMV) is best reserved for patients capable of little or no ventilator support. Ref: Short Textbook of Anaesthesia By Ajay Yadav 2nd Edition, Pages 182-3.